Long acting glucocorticoid is ?
1. Dexamethasone
2. Triamcenolone
3. Prednisolone
4. Hydrocortisone

Correct answer: 1. Dexamethasone

Explanation: Ans. is 'a' i.e., Dexamethasone